Which one of the following is not a wound closure technique?
1. Partial thickness skin graft
2. Composite graft
3. Vascular graft
4. Musculo-cutaneous graft

Correct answer: 3. Vascular graft